Drugs which affect DNA synthesis or replication are all except:-
1. 5-FU
2. Bevacizumab
3. Doxorubicin
4. Methotrexate

Correct answer: 2. Bevacizumab

Explanation: Bevacizumab is a monoclonal antibody against VEGF. It acts by inhibiting angiogenesis. Doxorubicin is a topoisomerase inhibitor and inhibit the uncoiling of DNA and thus replication. 5-FU is a pyrimidine analog and inhibit DNA synthesis by competing with DNA polymerase. Methotrexate is a dihydro folic acid reductase inhibitor. It decreases the formation of DNA.